Fungal meningitis in an immunocompromised individual is most commonly caused by
1. Aspergillus
2. Penicillium
3. Candida albicans
4. Cryptococcus neoformans

Correct answer: 4. Cryptococcus neoformans

Explanation: (D) Cryptococcus neoformans # Fungal Infections in the immunocompramised i.e. in AIDS patients:> Candidiasis (esophageal, tracheal, or pulmonary)> Crypttococcosis (CNS infection)> Coccidioidomycosis (disseminated)> Histoplasmosis (disseminated)